Aschoff's nodules are seen in :
1. Subacute bacterial endocarditis
2. Libman-sacks endocarditis
3. Rheumatic carditis
4. Nonbacterial thrombotic endocarditis

Correct answer: 3. Rheumatic carditis

Explanation: Answer is C (Rheumatic carditis) Aschoff bodies are characteristic focal inflammatory lesions of acute rheumatic fever found in any of the three layers of the heart. "AschoffN body is pathognomic of Rheumatic fever" - Robbins Aschoff bodies: Aschoff bodies are focal inflammatory lesions seen during acute rheumatic fever During acute RF, Aschoff bodies may be found in any of the three layers of the heart - pericardium, myocardium and endocardium. Aschoffs body is pathognomic of Rheumatic fever